30-year old Basanti presents with light brown lesions involving both her cheeks. The lesions had never been erythematous. Which of the following is the most probable diagnosis -
1. SLE
2. Chloasma
3. Air borne contact dermatitis
4. Photo sensitive reaction

Correct answer: 2. Chloasma